Which of the following is NOT intracapsular:-
1. Coronoid fossa
2. Radial fossa
3. Olecranon fossa
4. Lateral epicondyle

Correct answer: 4. Lateral epicondyle

Explanation: Lateral and medial epicondyles are outside the capsular ligament. They are traction epiphysis.